True about Epithelioid hemangioendothelioma
1. Rare vascular tumor of infants
2. Usually solitary
3. Underlying cirrhosis common
4. Expresses factor VIII an gen

Correct answer: 4. Expresses factor VIII an gen

Explanation: EPITHELIOID HEMANGIOENDOTHELIOMA (EHE) is rare vascular tumor of adults, is usually multifocal and can also be associated with prolonged survival, even in the presence of metastases, which are commonly seen in the lung. There is usually no underlying cirrhosis. Histologically, these tumors are usually of borderline malignancy and express factor VIII an gen, confirming their endothelial origin.